All are prognostic indicators of pre-eclampsia, except:
1. Low platelets
2. High serum Sodium
3. Elevated liver enzymes
4. High serum Uric acid

Correct answer: 2. High serum Sodium

Explanation: Low platelets, rise in liver enzymes and rise in S. uric acid are all indications of deteriorating systemic function in hypertension in pregnancy and they all even individually are justifications for induction of labour. Other signs of severity of hypertension in pregnancy are: Diastolic BP >110 Systolic BP > 160 Worsening Proteinuria Headache Visual disturbances Upper Abdominal pain Oliguria Convulsion (eclampsia) Serum creatinine Thrombocytopenia (<100,00/mL) Serum transaminase elevation Pulmonary edema